What is Incidence Rate:
1. It represents the number of old cases in the community
2. It represents the number of new cases in the community
3. It represents the number of total cases in the community
4. It represents the number of cured cases in the community

Correct answer: 2. It represents the number of new cases in the community

Explanation: Ans. B: It represents the number of new cases in the Incidence proportion (also known as cumulative incidence) is the number of new cases within a specified time period divided by the size of the population initially at risk. For example, if a population initially contains 1,000 non-diseased persons and 28 develop a condition over two years of observation, the incidence proportion is 28 cases per 1,000 persons, i.e. 2.8%